BCG vaccination is given by which route -
1. Subcutaneous
2. Intradermal
3. Intramuscular
4. Subdermal

Correct answer: 2. Intradermal

Explanation: Ans. is 'b' i.e., Intradermal * The routes of important vaccines arei) Subcutaneous: Measles, rubella, killed influenza, killed cholera, IPV, yellow fever.ii) Intramuscular: Mumps, killed influenza, typhoid Vi-polysaccharide, DPT (deep intramuscular), rabies, IPV.iii) Intradermal: BCG, rabies.iv) Nasal: Live influenza.v) Oral: OPV, oral cholera, oral typhoid (typhoral).